How do herpes viruses produce their messenger RNA?
1. By producing a positive sense intermediate
2. By direct translation from genome
3. By transcription of proviral DNA
4. By transcribing from the genomic DNA

Correct answer: 4. By transcribing from the genomic DNA

Explanation: Herpes is a ds DNA virus that produces its mRNA from the genomic DNA